Antigliadin antibodies are delectable in -
1. Tropical sprue
2. Whipple's disease
3. Celiac disease
4. Intestinal lymphoma

Correct answer: 3. Celiac disease

Explanation: Anti-gliadin antibodies were one of the first serological markers for coeliac disease. Problematic with AGA is the typical sensitivity and specificity was about 85% Ref Davidson edition23rd pg 806